Patient says, "I ate rice in the morning, fish lives in water". This is suggestive of :
1. Loosening of association
2. Flight of ideas
3. Thought insertion
4. Tangentiality

Correct answer: 1. Loosening of association

Explanation: There is loss of connection between individual thought components and speech is not meaningful, which is suggestive of a Formal thought disorder - Loosening of association.